Fouth stage of labour i.e. observation of patient after delivery of placenta is defined as period of___________after delivery:
1. 1 hour
2. 2 hour
3. 3 hour
4. 4 hour

Correct answer: 1. 1 hour

Explanation: 1 hour